Patey's mastectomy is a type of
1. Simple mastectomy
2. Extended mastectomy
3. Modified radical mastectomy
4. Halsted's radical mastectomy

Correct answer: 3. Modified radical mastectomy

Explanation: Ans. (c) Modified radical mastectomy(Ref. Bailey and Love 26th edition Page 813)* In Patey's type of MRM- Pectoralis Minor muscle removed.